As per trimodal distribution, in major trauma immediate deaths occurs in % of all deaths
1. 30%
2. 40%
3. 45%
4. 35%

Correct answer: 3. 45%

Explanation: Answer- C. 45%Approx half of trauma deaths occure immediately after trauma, second mortality peak occurs within hours of injury and accounts for about 30% of deaths.